In carcinoma bas of tongue pain is refered to the ear through-
1. Hypoglossal nerve
2. Vagus nerve
3. Glossopharyngeal nerve
4. Lingual nerve

Correct answer: 3. Glossopharyngeal nerve

Explanation: C i.e. Glossopharyngeal nerve